A 30-year-old women presents a history of amenorrhoea and impaired vision of six month's duration. Physical examination shows everything except for pale optic discs and diminished visual acuity. The most likely diagnosis is -
1. Pituitary adenoma
2. Craniopharyngioma
3. Hypothalamic glioma
4. Benign intracranial hypertension

Correct answer: 1. Pituitary adenoma